Prader - Willi syndrome is associated with following EXCEPT
1. Hypogonadotropic hypogonadism
2. Hyperphagia - obesity
3. Chronic muscle hypertonia
4. Adult - onset diabetes mellitus

Correct answer: 3. Chronic muscle hypertonia

Explanation: PWS has many signs and symptoms. The symptoms cann range from poor muscle tone during infancy to behavioral problems in early childhood. Some symptoms that are usually found in infants, besides poor muscle tone, are a lack of eye coordination, some are born with almond-shaped eyes, and due to poor muscle tone, some may not have a strong sucking reflex. Their cries are weak, and they have difficulty waking up. Another sign of this condition is a thin upper lip. More aspects seen in a clinical overview include hypotonia and abnormal neurologic function, hypogonadism, adult onset diabetes mellitus,developmental and cognitive delays, hyperphagia and obesity, short stature, and behavioral and psychiatric disturbances. Reference: GHAI Essential pediatrics, 8th edition